Steeple sign is seen in case of
1. Acute epiglottitis
2. Diphtheria
3. Acute tonsillitis
4. Acute Laryngo tracheo bronchitis

Correct answer: 4. Acute Laryngo tracheo bronchitis

Explanation: X-ray finding in Acute LaryngotracheobronchitisIt is an inflammatory condition of the larynx, trachea and bronchi.Mostly, it is a viral infection (parainfluenza type I and II) affecting children between 6 months and 3 years of age. - Thumb sign is seen in Acute epiglottitisDhingra 6e pg: 290